Silver stain performed on renal biopsy shows characterstic findings as shown below. Immunostaining for Anti-PLA2R is positive. Based on the given findings, what is the likely diagnosis?
1. Focal segmental glomerulosclerosis (FSGS)
2. Membranous nephropathy
3. Membranoproliferative glomerulonephritis (MPGN)
4. Crescentic glomerulonephritis

Correct answer: 2. Membranous nephropathy

Explanation: Membranous nephropathy By light microscopy, the glomeruli either appear normal in the early stages of the disease or exhibit uniform, diffuse thickening of the glomerular capillary wall. On electron microscopy, irregular electron dense deposits containing immune complexes between the basement membrane and the overlying epithelial cells with effacement of podocyte foot processes. Basement membrane material is laid down between these deposits, appearing as irregular spikes protruding from the GBM. Antibodies against the podocyte antigen phospholipase A2 receptor (PLA2R) are present. Membranous nephropathy occurs secondary to other conditions as follows: Autoimmune diseases (SLE) Infections (syphilis, chronic hepatitis B,malaria) Malignant neoplasms (Carcinoma colon, lung and melanoma) Drugs (captopril, NSAIDs ,penicillamine) Exposure to inorganic salts (mercury, gold)